Primary causes of non-inflammatory edema include all of the following except:
1. Increased intravascular pressure
2. Decreased vascular permeability
3. Obstruction of lymphatics
4. Reduced plasma colloid oncotic pressure

Correct answer: 2. Decreased vascular permeability

Explanation: Ans. B: Decreased vascular permeability Edema is caused by: Decreased plasma osmotic pressure Increased hydrostatic pressure Increased permeability of vascular endothelium Lymphatic obstruction